Which is a large granular lymphocyte?
1. NK cell
2. B-lymphocyte
3. T-lymphocyte
4. Macrophage

Correct answer: 1. NK cell

Explanation: Ans. (a) NK cell(Ref: Wintrobe's clinical hematology - 12th ed, pg 300; Robbins 9th/pg 192; 8th/pg 188)Most lymphocytes in blood are small (<=10mm), while some are large, known as large granular lymphocytes (LGL), as they contain azurophilic granules in their cytoplasm.These cells are LGL type of natural killer (NK) cells.